Drugs inhibiting the formation of IL-2 are :  a) Cycloserine b) Cyclosporine c) OKT–3 d) Tacrolimus
1. bd
2. a
3. c
4. ad

Correct answer: 1. bd